In a community with one lakh population , 20,000 slides were examined in a particular year. Out of these, 100 were positive for malarial parasite. What is the Annual Parasite Incidence (API) in this community ?
1. 5
2. 2
3. 1
4. 0.5

Correct answer: 3. 1

Explanation: Annual parasite incidence(API)= (Confirmed cases during one year/population under surveillance)*1000. Here,API=(100/100000)*1000 =1. Reference:Park's textbook of preventive and social medicine,K.Park,23rd edition,page no:261.